Heinz bodies are seen in:
1. G-6-PD deficiency
2. Sickle cell disease
3. Hereditary spherocytosis
4. PNH

Correct answer: 1. G-6-PD deficiency

Explanation: Ans. A: G-6-PD deficiencyHeinz bodies are inclusions within red blood cells composed of denatured hemoglobin.Heinz bodies are formed by damage to the hemoglobin component molecules, usually through oxidations, or the change of an internal amino acid residue(from an inherited mutation), which causes the damaged molecules to, often degrade and then precipitate, damaging the cell membrane by hydrophobically adsorbing to it thereby increasing cell permeability, leading to premature cell lysis.Damaged cells are attacked by macrophages in the spleen, where the precipitate and damaged membrane are removed, leading to characteristic "bite cells". The denaturing process is irreversible and the continual elimination of damaged cells leads to Heinz body anemia.G6PD deficiency brought on by administration of oxidant drugs (e.g., primaquine, dapsone, quinidine) also can result in Heinz bodies.